Which of the following is true with regard to day care anaesthesia
1. ASA 2 patients are not suitable
2. Driving may be permitted within 24 hours
3. Starvation is not mandatory
4. Intubation is acceptable

Correct answer: 4. Intubation is acceptable

Explanation: ASA 1 and 2 patients are considered suitable for day care surgery. Patient is expected to be nil orally prior to surgery and driving within 24 hours is not permissible.